Peripheral Chemoreceptors are stimulated by all except?
1. Hypoxia
2. Hypocapnia
3. Hypercapnia
4. Acidosis

Correct answer: 2. Hypocapnia